Atropine is added with diphenoxylate to:
1. Increase effect
2. Decrease side effects
3. Decrease abuse potential
4. Enhance absorption

Correct answer: 3. Decrease abuse potential

Explanation: Ans: C (Decrease abuse potential) Ref: Basic & Clinical Pharmacology, 2012, 12th Ed, Tala McGraw hill, Katzung BG,Masters SB, Trevor AJ.P 1095Explanation:Diphenoxylate is an opioid agonist without any analgesic property.It has Antimotilitv action hence it is used in non-infective diarrhoeaIt can cause drug dependence since it has CNS effectsAtropine in small doses (0.025 mg) is added with diphenoxylate 2.5 mg to discourage overdose since this may cause atropine side effects which unpleasant